Transverse facial artery is a branch of:
1. Superficial temporal
2. Facial
3. Maxillary
4. ICA

Correct answer: 1. Superficial temporal

Explanation: Transverse Facial Artery:

It is a small artery that arises from superficial temporal artery, within the parotid gland. 
After emerging from parotid gland it runs forwards on the masseter between the zygomatic arch and the parotid duct accompanied by buccal branch of the facial nerve.

Key Concept:
Transverse Facial Artery is a branch that arises from superficial temporal artery.